Which one has least mineralocorticoid activity ?
1. Cortisol
2. Prednisolone
3. Fludrocortisone
4. Methyl prednisolone

Correct answer: 4. Methyl prednisolone